A 77-year-old woman experiences a sudden loss of consciousness, with loss of movement on the right side of the body. Cerebral angiography shows an occlusion of the left middle cerebral artery. Elaboration of which of the following mediators will be most beneficial in preventing further ischemic injury to her cerebral cortex?
1. Bradykinin
2. Leukotriene E4
3. Nitric oxide
4. Platelet-activating factor

Correct answer: 3. Nitric oxide

Explanation: Endothelial cells can release nitric oxide to promote vasodilation in areas of ischemic injury. Bradykinin mainly increases vascular permeability and produces pain. Leukotriene E4 , platelet-activating factor, and thromboxane A2 have vasoconstrictive properties.